Osteomyelitis can mimic which tumor?
1. Osteoclastoma
2. Ewing sarcoma
3. Chondroma
4. None of above

Correct answer: 2. Ewing sarcoma

Explanation: Ans. is 'b' i.e., Ewing Sarcoma Distinguishing between hematogenous osteomyelitis and a bone sarcoma is difficult when there is notrauma, no systemicdisease, and no sign of infection locally . Radiographic changes of soft tissue swelling, cortical tunneling, focal cancellouslysis, focal cortical resorption, and a periosteal reaction in osteomyelitis are often mistaken fbumors, and Ewing sarcoma is usually associated with fever